All of the following are Light's criteria for exudative I pleural effusion:
1. Pleural fluid protein to serum protein > 0.5
2. Pleural fluid LDH to serum LDH > 0.6
3. Pleural fluid LDH is > 2/3 times the normal upper limit for serum
4. Pleural fluid ADA to Serum ADA <16

Correct answer: 4. Pleural fluid ADA to Serum ADA <16

Explanation: Answer is D (Pleural fluid ADA and Serum ADA <16): Ratio of Pleural fluid ADA and Serum ADA <16 is not part of Light's Criteria. Light's criteria, rely on a comparison of the chemistries in the pleural fluid to those in the blood, to establish the cause of the effusion as transudate or exudates. According to Light's criteria a pleural effusion is likely exudative if at least one of the following exists The ratio of pleural fluid protein to serum protein is greater than 0.5 The ratio of pleural fluid LDH and serum LDH is greater than 0.6 Pleural fluid LDH is greater than 0.6 or Y3 times the normal upper limit for serum. Note: Exudative Pleural Effusions meet at least one of the above criteria while transudative effusions meet None These criteria misidentify around 25 percent of transudates as exudates